Glucocorticoids have proved useful in the treatment of:
1. Chemotherapy induced vomiting
2. Hyperprolactinemia
3. Parkinson's disease
4. Type II diabetes

Correct answer: 1. Chemotherapy induced vomiting